Pink teeth is seen in
1. Asphyxial deaths
2. Carbon monoxide poisoning
3. Putrefaction
4. Cyanide poisoning

Correct answer: 3. Putrefaction

Explanation: Pink teeth: In putrefied bodies, the teeth are sometimes seen to be pink in color, especially near the gum line as a result of hemolysis of extravasated blood in the dentinal tubules.